All have incubatory carriers, except-
1. Tetanus
2. Measles
3. Whooping cough
4. Polio

Correct answer: 1. Tetanus

Explanation: Tetanus is not transmitted from person to person; it has NO period of communicability. Delayed infections(up to several months later) are due to dormant spores in the wound. Ref: 25th edition, Park's Textbook of Preventive and Social Medicine, Page no. 339, 340